Botulism causes:
1. Descending flaccid paralysis
2. Descending spastic paralysis
3. Ascending paralysis
4. Ascending spastic paralysis

Correct answer: 1. Descending flaccid paralysis

Explanation: Ans. is 'a' i.e., Descending flaccid paralysis (Ref: Harrison, 18th/e, 1201)* Botulism causes acute descending paralysis of flaccid type (Areflexia).